The nerve supply to pronator muscle of distal radioulnar joint is :
1. Median nerve
2. Ulnar nerve
3. Anterior interosseous nerve
4. Posterior interosseous nerve

Correct answer: 3. Anterior interosseous nerve

Explanation: Pronator of proximal radioulnar joint - Pronator teres (median nerve).
Pronator of distal radioulnar joint - Pronator quadratus (anterior interosseous nerve).